A 35-year-old female, a known case of diabetes presented with painless swelling in the neck which moved with deglutition and was irregular and firm in consistency along with constipation, weight gain, hoarseness of voice, oligomenorrhea and mild paresthesias. O/E: - Bradycardia Cold extremitie Non-pitting edema Delayed relaxation of DTR's TFTs revealed high TSH and low unbound T4 levels. RAIU was mildly increased. TPO antibodies were also raised. FNAB of the thyroid The above condition predisposes the patient to which cancer: -
1. Papillary thyroid carcinoma
2. Follicular thyroid carcinoma
3. Anaplastic thyroid carcinoma
4. Medullary thyroid carcinoma

Correct answer: 1. Papillary thyroid carcinoma

Explanation: This is a case of Hashimoto's thyroiditis which predisposes the patient to papillary thyroid carcinoma. HPE IMAGE SHOWS: - Extensive infiltration of the thyroid parenchyma Well-developed germinal centers Atrophic thyroid follicles Presence of epithelial cells with abundant eosinophilic, granular cytoplasm (Hurthle cells)